Following drugs are immunosuppresants except
1. Cephalosporin
2. Cyclosporine
3. Azathioprine
4. Steroids

Correct answer: 1. Cephalosporin

Explanation: Ans. is 'a' i.e., Cephalosporin Immunosuppressants These are drugs which inhibit cellular or humoral response or both These are mainly used in organ transplantation and autoimmune disease.